A typical gingivitis is
1. other name of plasma cell gingivitis
2. gingivitis seen in HIV patients
3. gingivitis seen in leukaemia patients
4. gingivitis seen in aggressive periodontitis

Correct answer: 1. other name of plasma cell gingivitis